All the following are seen in McCune Albright Syndrome Except
1. Polyostotic fibrous dysplasia
2. Cafe-au-lait spots
3. GnRH-independent sexual precocity
4. GnRH-dependent sexual precocity

Correct answer: 4. GnRH-dependent sexual precocity

Explanation: The McCune-Albright syndrome is characterized by the classic triad of polyostotic fibrous dysplasia of bone, irregular cafe-au-lait spots on the skin,and GnRH-independent sexual precocity.Ref: Berek and Novak's Gynecology; 15th edition; Chapter 29